All of the following are Hepatotoxic except-
1. Erythromycin
2. Tetracycline
3. Choloroquine
4. Rifampicin

Correct answer: 3. Choloroquine